Normal glomerular filtration rate is ?
1. 50 ml/min
2. 125 ml/min
3. 250 ml/min
4. 500 ml/min

Correct answer: 2. 125 ml/min

Explanation: Ans. is 'b' i.e., 125 ml/minIn man, resting glomerular filtration rate is about 125 ml/min (180L/day), the renal plasma flow being about 600 ml/min.Thus about one-fifth (20%) of plasma passing through kidney is filtered, i.e., fraction of renal plasma flow that is filtered (filtration fraction) is 0.2.